The most common cause of anterior vermis syndrome is _______________.
1. Alcohol abuse
2. An abscess
3. A tumor
4. Lead intoxication

Correct answer: 1. Alcohol abuse

Explanation: Anterior vermis syndrome is a result of chronic alcohol abuse. Patients have dystaxia of the lower limb and trunk. Posterior vermis syndrome involves the flocculonodular lobe; it is most frequently caused by an ependymoma or a medulloblastoma. Patients have truncal dystaxia. Hemispheric syndrome usually is the result of a tumor (astrocytoma) or abscess; patients have arm, leg, trunk, and gait dystaxia.